Which of the following is true about Cephalhematoma?
1. Its size is maximum at birth
2. It resolves completely in 7-10 days
3. It is limited by periosteum
4. It is due to hemorrhage in the layers of scalp

Correct answer: 3. It is limited by periosteum

Explanation: Cephalhematoma : subperiosteal hemorrhage, limited by periosteum. Take 24-48 hours to appear completely & 6-7 weeks to disappear